Radium emits which of the following radiations:
1. Alpha rays
2. Beta rays
3. Gamma rays
4. All

Correct answer: 4. All

Explanation: A i.e. a rays; B i.e. b-rays; C i.e. g -rays